A child with bladder exstrophy and chronic renal failure. The Anaesthesia of choice for the child while operating exstrophy is –
1. Atracurium
2. Mivacurium
3. Pancuronium
4. Rocuronium

Correct answer: 1. Atracurium

Explanation: "Atracurium and cisatracurium are muscle relaxants of choice for both liver and kidney failure".